. Regarding imaging of uterine fibroids all are corrrect except:
1. Ultrasound is ideal to confirm the diagnosis
2. Saline Infusion Sonography (SIS) is more sensitive to detect any submucous fibroid
3. MRI is superior to USG to identify the exact location of myoma
4. CT scanning is an alternative to MRI

Correct answer: 4. CT scanning is an alternative to MRI